Pharyngeal artery is a branch of
1. First part of maxillary artery
2. Second part of maxillary artery
3. Third part of maxillary artery
4. None

Correct answer: 3. Third part of maxillary artery

Explanation: Pharyngeal artery is a branch of third part of maxillary artery.